Investigation of choice for diagnosis of splenic rupture –
1. Peritoneal lavage
2. Ultrasound
3. CT scan
4. MRI

Correct answer: 3. CT scan

Explanation: "CT has become the gold standard for the assessment of abdominal trauma particularly solid parenchymal injury".